Pentameric antibody is:
1. IgD
2. IgG
3. IgM
4. IgA

Correct answer: 3. IgM

Explanation: IgM